Digoxin can accumulate to toxic levels in patients with ?
1. Renal insufficiency
2. Chronic hepatitis
3. Advanced cirrhosis
4. Chronic pancreatitis

Correct answer: 1. Renal insufficiency